A lady came with unilateral white skin lesions with leukotrichia. Shows 2 white spots 1 x 1cm each over left side of chin and neck. Diagnosis?
1. Segmental vitiligo
2. Piebaldism
3. Waardenburg's syndrome
4. Regional vitiligo

Correct answer: 1. Segmental vitiligo